Crista terminalis is present in -
1. Left atrium
2. Left ventricle
3. Right atrium
4. Right ventricle

Correct answer: 3. Right atrium

Explanation: Ans. is 'c' i.e., Right atrium o Crista terminalis (divides the right atrium into anterior and posterior part) is a ridge of smooth muscle fibers extending from the SVC to valve of IVC.o It is developed from embryonic right venous valve and is represented on the surface by sulcus terminalis.